A 35-year old lady presented with dysphagia>> nocturnal asthma and weight loss for 6 years. The most probable diagnosis is -
1. Achalasia cardia
2. Lye stricture of esophagus
3. Gastroesophageal reflux diseae
4. Cancer esophagus

Correct answer: 1. Achalasia cardia

Explanation: Davidson's principles and practice of medicine 22nd edition #Achalasia cardia is presented with dysphagia ,episodic chest pain due to oesophageal spasm,nocturnal pulmonary aspiration, weight loss.